The following is not a Nerve gas ?
1. Sarin
2. Tabun
3. Soman
4. Pyrolan

Correct answer: 4. Pyrolan

Explanation: Ans. is 'd' i.e., Pyrolan Nerve gases are a class of organophosphates that act by inhibiting enzyme acetylcholinesteraze, an enzyme that destroys acetylcholine. The classical examples are tabun, sarin, soman and cyclosarin. These are used as chemical weapons in wars, i.e. chemical warfare.